All of the following sugars are found in glycoproteins, EXCEPT:
1. Fructose
2. Fucose
3. Mannose
4. Xylose

Correct answer: 1. Fructose

Explanation: EIGHT SUGARS PREDOMINATE IN HUMAN GLYCOPROTEINS. They are as follows: Galactose Glucose Mannose N-Acetylneuraminic acid Fucose N-Acetylgalactosamine N-Acetylglucosamine and Xylose Ref: Murray R.K. (2011). Chapter 47. Glycoproteins. In D.A. Bender, K.M. Botham, P.A. Weil, P.J. Kennelly, R.K. Murray, V.W. Rodwell (Eds), Harper's Illustrated Biochemistry, 29e.